Which of the following is not associated with Streptococcus?
1. Rheumatic fever
2. Scarlet fever
3. Acute GN
4. Scalded skin syndrome

Correct answer: 4. Scalded skin syndrome

Explanation: Streptococcus infection causes both supppurative and non-suppurative complications :- Non-Suppurative complications :- 1)Rheumatic fever may follow recurrent pharyngitis beginning 1-4 weeks after the onset of symptoms. 2)Glomerulonephritis follows a single infection with a nephritogenic strain of streptococcus group A (eg, types 4, 12, 2, 49, and 60), more commonly on the skin than in the throat, and begins 1-3 weeks after the onset of the infection. Suppurative complications :- - sinusitis otitis media - mastoiditis - peritonsillar abscess - suppuration of cervical lymph nodes